The most common effect of colchicine which is dose limiting is :
1. Diarrhea
2. Dyspepsia
3. Retinal damage
4. Loss of taste sensation

Correct answer: 1. Diarrhea